Digoxin is contraindicated in -
1. Supraventricular tachycardia
2. Atrial fibrillation
3. Congestive heart failure
4. Hypertrophic obstructive cardioinyopathy

Correct answer: 4. Hypertrophic obstructive cardioinyopathy

Explanation: Ans. is 'd' i.e., Hypertrophic obstructive cardiomyopathy Digitalis is contraindicated in o HOCM - By increasing the contractility it decreases the size of ventricle --> obstruction. o Paia1A-V block - Digitalis increases ERP of A-V node --> A.V. conduction --> may convert partial block into complete block. o WPW syndrome - Digitalis slows the conduction in the normal AV bundle and accelerates it in the aberrant pathway --> increase chances of reentry --> ventricular fibrillation may occur. o Ventricular tachycardia - Digitalis decreases the refractory period of ventricle muscle ventricular fibrillation may occur.